Lower end of femur is ossified from how many ossification centers :?
1. 1
2. 2
3. 3
4. 4

Correct answer: 1. 1

Explanation: Ans. is 'a' i.e., 1